The epithelial lining of the urethra below the opening of the ejaculatory ducts is
1. Stratified cuboidal epithelium
2. Stratified columnar epithelium
3. Transitional epithelium
4. Stratified squamous epithelium

Correct answer: 2. Stratified columnar epithelium

Explanation: The epithelium of the urethra starts off as transitional cells as it exits the bladder. Further along the urethra there are psuedostratified columnar and stified columnar epithelia, then stratified squamous cells near the external urethral orifice. There are small mucus-secreting urethral glands, that help protect the epithelium from the corrosive urine. Ref - wikipedia.org